Amino acid produced by adding hydroxyl group to phenyl side chain of phenylalanine
1. Threonine
2. Histidine
3. Tyrosine
4. Serine

Correct answer: 3. Tyrosine

Explanation: Ans: c. (tyrosine) Ref: Vasudevan Sreekumari, 6th edi., pg. 203Amino acids having phenyl side chain are called aromatic amino acid.Aromatic amino acids are - phenylalanine, tyrosine Phenylalanine is converted to tyrosine. The reaction involves addition of a hydroxyl group to the aromatic (phenyl) ring, by phenylalanine hydroxylase. It needs NADPH, NADH and tetrahydrobiopterin as co enzymes.As this reaction is irreversible reaction, tyrosine cannot replenish phenylalanine. Hence phenylalanine is an essential amino acid.Serine, threonine are aliphatic hydroxy aminoacidsTryptophan, histidine are heterocyclic amino acids having indole and imidazole group respectively. Proline is animino acid because it has a secondary amino group, pyrrolidine group.